A lady with 16 weeks pregnancy presents with acute appendicitis,TLC of 24000. Management includes
1. Conservative treatment always
2. Do early surgery
3. Appendecectomy with termination of pregnancy
4. Medical treatment with surgery on recurrence

Correct answer: 2. Do early surgery

Explanation: In pregnancy, if the patient develops symptoms of appendicitis and it has been confirmed with diagnostics. The preferable option is to do early surgery to avoid the complications like puerperial sepsis, abortion or intrauterine deaths and also complications of untreated appendicitis like rupture of appendix, pyoperitoneum etc